Morphine a powerful opioid analgesic drug should be avoided in all the following conditions except:
1. Left ventricular failure
2. Bronchial asthma
3. Constipation
4. Pancreatitis

Correct answer: 1. Left ventricular failure